Viscosity of synovial fluid depends upon -
1. N-acetyl galactosamine
2. N-acetyl glucosamine
3. Glucuronic acid
4. Hyaluronic acid

Correct answer: 4. Hyaluronic acid

Explanation: Viscosity of synovial fluid is provided by hyaluronic acid.